What is the cause of death in dry drowning
1. Cardiac arrhythmia
2. Pulmonary edema
3. Hyperkalemia
4. Laryngeal spasm

Correct answer: 4. Laryngeal spasm

Explanation: In cases of dry drowning, water does not enter the lungs, but death results due to laryngeal spasm. Larugeal spasm occurs when there is sudden-in-rush of water into nasopharynx and larynx.